Fetal injury in breech extraction are all except :
1. Injury to liver
2. Injury to lung
3. Intracranial hemorrhage
4. Injury to adrenal gland

Correct answer: 2. Injury to lung

Explanation: Injury to lung